Chocolate cyanosis seen in
1. Wilson's disease
2. Zinc poisoning
3. Methemoglobinemia
4. Mercurialentis

Correct answer: 3. Methemoglobinemia

Explanation: Methemoglobinemia Signs and symptoms Headache, nausea, vomiting, breathlessness, confusion, coma, convulsion, severe metabolic acidosis. Hemolysis may occur in G6PD deficiency. Blood is chocolate brown in color (chocolate cyanosis) Ref: FORENSIC MEDICINE AND Toxicology Dr PC IGNATIUS THIRD EDITION PAGE 430